Most characteristic of megaloblastic anemia ?
1. Target cell
2. Macrocyte
3. Microovalocyte
4. Macroovalocyte

Correct answer: 4. Macroovalocyte

Explanation: Ans. is 'd' i.e., Macroovalocyte